Corrosion of amalgam restoration:
1. Can extend upto a depth of 100 - 500 μm
2. Decreases if tin content of alloy increase
3. Is promoted by gama phase of alloy particles
4. Is resisted the most by copper-tin phase in high copper amalgams

Correct answer: 1. Can extend upto a depth of 100 - 500 μm